Which of the following tumours present with proptosis  a) Neuroblastoma  b) Nephroblastoma  c) Germ cell tumour  d) Medulloblastoma  e) Meningioma
1. abe
2. acd
3. cde
4. abd

Correct answer: 1. abe

Explanation: Orbital tumors causing proptosis 

Primal), : Dermoid cyst, osteoma, lymphoma, lymphosarcoma, optic nerve glioma, optic nerve sheath meningioma, retinoblastoma
Metastasis :- Breast, lung, prostate, kidney (nephroblastoma), melanoma, neuroblastoma, GIT, Ewings sarcoma, wilms tumor.